Posterior one-third of the tongue develops from
1. Lingual swellings
2. Tuberculum impar
3. Hypobranchial eminence
4. Tongue bud

Correct answer: 3. Hypobranchial eminence

Explanation: Posterior one third is developed from cranial part of hypobranchial eminence, which is formed by fusion of third and fourth branchial arches only. The eminence is divided by a transverse groove into cranial and caudal part. Notes: posterior one third is supplied by glossopharyngeal nerve.